Which is most common side effect of inhaled beclomethasone dipropionate?
1. Pneumonia
2. Oropharyngeal candidiasis
3. Atrophic rhinitis
4. Pituitary adrenal suppression

Correct answer: 2. Oropharyngeal candidiasis

Explanation: * Most of the side effects of steroids are mainly hoarseness, orophyrangeal candidiasis, decreased growth in children with adrenal suppression.* The plausible explanation is that since these drugs are inhaled, they avoid the first pass metabolism that orally administered steroids undergo and hence have preponderance to cause the usual manifestations of steroid toxicity.